Enamel infarctions can be detected by
1. Direct illumination with visible light
2. Ultraviolet light source
3. Magnetic resonance imaging
4. Fibre optic light source

Correct answer: 4. Fibre optic light source